Which anaesthetic agent is contraindicated in epilepsy ?
1. Isoflurane
2. Enflurane
3. Halothane
4. Ether

Correct answer: 2. Enflurane